All of the following are true about blood coagulation, except
1. Factor X is part of both intristic and extrinsic path ways
2. Extrinsic pathway is activatied by contact with negatively charged surfaces
3. Intrinsic pathway can be activated in vitro
4. Calcium is required in several steps of coagulation

Correct answer: 2. Extrinsic pathway is activatied by contact with negatively charged surfaces

Explanation: harshmohan textbook of pathology 7 th edition extrinsic pathway is activated only by tissue damage which causes release of thromboplastin where as intrinsic pathway is activated by surface contact. factor x is a part of common pathway. 
Ca2+ is required for conversion of 1x -1xa ,prothrombin to thrombin